Which of the following foramen is responsible for the drainage of CSF from lateral to third ventricle?
1. Foramen of Monro
2. Foramen of Luschka
3. Foramen of Magendie
4. Cerebral aqueduct

Correct answer: 1. Foramen of Monro

Explanation: The two interventricular foramens, or foramens of Monro, are apertures between the column of the fornix and the anterior end of the thalamus. The two lateral ventricles communicate with the third ventricle through these foramens and drainage of CSF occurs. The lateral aperture (foramen of Luschka) is the opening of the lateral recess into the subarachnoid space near the flocculus of the cerebellum. A tuft of choroid plexus is commonly present in the aperture and partly obstructs the flow of CSF from the fourth ventricle to the subarachnoid space. The medial aperture (foramen of Magendie) is an opening in the caudal portion of the roof of the ventricle. Most of the outflow of CSF from the fourth ventricle passes through this aperture. The cerebral aqueduct is a narrow, curved channel running from the posterior third ventricle into the fourth. Ref: Waxman S.G. (2010). Chapter 11. Ventricles and Coverings of the Brain. In S.G. Waxman (Ed), Clinical Neuroanatomy, 26e.